'H5 Nl' may be best described as a:
1. Bird flu virus
2. Vaccine for HIV
3. Agent for Japanese encephalitis
4. New strain of Plasmodium falciparum

Correct answer: 1. Bird flu virus

Explanation: H5N1 is the An Flue a type of Influenza A virus, also called the Bird Flu Virus. Ref: Molecular Medicine: An Introductory Text By Trent, 3rd Edition, Pages 209-10; Clinical Infectious Disease By Schlossberg, 2008, Page 1290